Lead pipe appearance is seen in
1. Chron's disease
2. Ulcerative colitis
3. Schistosomiasis
4. Carcinoma colon

Correct answer: 2. Ulcerative colitis

Explanation: B i.e. Ulcerative colitis